A 15 year old boy presented with multiple hypoaesthetic macules with sloping edge, seen on the face, trunk and arms. Histopathologic examination of lesion shows numerous bacilli and granulomatous infiltration. What is your diagnosis?
1. Tuberculoid leprosy
2. Lepromatous leprosy
3. Borderline leprosy
4. Indeterminate leprosy

Correct answer: 3. Borderline leprosy

Explanation: Presence of numerous bacilli in the lesion rules out tuberculoid leprosy and presence of granulomatous infitration rules out lepromatous leprosy. Indeterminate leprosy presents with one or few lesions so it cannot be indeterminate leprosy. Borderline leprosy is an intermediate between tuberculoid and lepromatous leprosy and hence may have characters of both, so this is a case of borderline leprosy. Ref: Illustrated Synopsis of Dermatology and Sexually Transmitted Diseases By Neena Khanna 2ND edn page 225.